Kleine Levin syndrome which of the following is not true ?
1. Hyper somnia
2. Hyposexulity
3. Spontaneous resolution
4. Also called sleeping beauty syndrome

Correct answer: 2. Hyposexulity

Explanation: Ans. is'b'i.e., HyposexulityRef: NORD guide to rare disorders p.544Klelne-Levin syndrome (KLS):It is also known as Sleeping Beauty syndrome".it is a rare sleep disorder characterized by persistent episodic hypersomnia andcognitive or mood changes.Many patients also experience hyperphagia, hypersexuality and other symptoms.